Which one of the following is a type of Electro-magnetic radiation?
1. Alpha rays
2. Beta rays
3. X-rays
4. Cathode rays

Correct answer: 3. X-rays